A person get infected in a hospital and clinical manifestation appear after he is discharged this is called -
1. Nosocomial infection
2. Opportunistic infection
3. Epizootic infection
4. Physician induced

Correct answer: 1. Nosocomial infection

Explanation: Ans. is 'a' i.e., Nosocomial infection . The term hospital infection, hospital -acquired infection or nosocomial infection are applied to infections developing in hospitalized patients, not present or in incubation at the time of their admission. . Such infections may become evident during their stay in hospital or, sometimes, only after their discharge.